Vestibular function is tested by -a) Galvanic stimulation testb) Acoustic reflexc) Fistula testd) Impedance audiometrye) Cold caloric test
1. acd
2. bde
3. cde
4. ace

Correct answer: 4. ace

Explanation: Clinical tests

Fistula testQ
Romberg test
Gait
Past-pointing and fallingQ
Hallpike maneuver (positional test)

Lab test

Caloric test

–– Modified (Kobrak’s test)
–– Fitzgerald-Hallpike test (Bithermal caloric test)
–– Cold-air caloric test by Dundas-Grant method. Done in case of perforation of tympanic membrane.

Electronystagmography
Optokinetic test
Rotation test
Galvanic testQ
Posturography